Fibres passing through crus-cerebri are -
1. Corticonuclear and cortricospinal fibres
2. Medial lemniscus
3. Spinothalamic
4. All

Correct answer: 1. Corticonuclear and cortricospinal fibres

Explanation: Crus cerebri contains : 

Middle two-third is occupied by corticospinal and corticobulbar (corticonuclear) fibers. 
Medial one-sixth is traversed by fronto-pontine fibers; and 
lateral one sixth contains temporopontine, parietopontine and occipitopontine fibers.